Which of the following leukemia is associated with a convent girl appearance?
1. Chronic myleogenous leukemia
2. Chronic lymphocytic leukemia
3. Hairy cell leukemia
4. Diffuse large B cell lymphoma

Correct answer: 2. Chronic lymphocytic leukemia

Explanation: In the neoplastic cells have similar appearance when seen in peripheral smear, k/a Convent girl appearance. CLL - "Convent girl". (Image below) Whereas , CML (image below) shows "college girl" or "garden party appearance" Above image is of CML showing leukocytosis with the presence of precursor cells of the myeloid lineage described as garden party appearance. In addition, basophilia, eosinophilia, and thrombocytosis can also be seen